Which of the following is not a neuroparasite?
1. Acantamoeba
2. Naegleria fowleri
3. Taenia solium
4. Trichinella spiralis

Correct answer: 4. Trichinella spiralis

Explanation: Trichinella spiralis is not a neuro parasite, it is seen in striated muscles. It causes trichinosis. Pigs are the most important reservoirs of human disease. Humans are infected by eating raw or undercooked meat containing larvae encysted in the muscle. The larvae excyst and mature into adults within the mucosa of the small intestine. Eggs hatch within the adult females, and larvae are released and distributed the bloodstream to many organs; however, they develop only in striated muscle cells. Within the muscle cells they can remain viable for several years but eventually calcify. Ref: Review of Medical Microbiology and Immunology By Warren Levinson, 11th Edition, Chapter 56; Self Assessment and Review Microbiology Immunology Revision at a Glance By Chaurasia, 4th Edition, 2009, Page 407